Most common vaginal carcinoma is:
1. Squamous cell carcinoma
2. Adenocarcinoma
3. Botroid's tumor
4. Columnar hyperplasia

Correct answer: 1. Squamous cell carcinoma